An infant has hepatorenomegaly, hypoglycemia hyperlipidemia, acidosis & normal structured glycogen deposition in liver. What is the diagnosis:
1. Her's disease
2. Von Gerke's ds
3. Cori's ds
4. Anderson's ds

Correct answer: 2. Von Gerke's ds

Explanation: B i.e. Von gierke's disease